The flying range of Aedes aegypti mosquito is
1. 100 meters
2. 250 meters
3. 300 meters
4. 450 meters

Correct answer: 1. 100 meters

Explanation: Description: Range of flight: Anopheles 3-5 km Culex 11 km Aedes 100 m Park's Textbook of Preventive and Social Medicine, 25th Edition, Pg 831